Intracoronal restoration resists displacement mainly by
1. Veneer retention
2. Wedge retention
3. Sleeve retention
4. All answers are wrong

Correct answer: 2. Wedge retention